All of the following are true for pthisis bulbi EXCEPT:
1. Due to trauma
2. Managed by prosthetic eye
3. Raised intraocular pressure
4. Non functional

Correct answer: 3. Raised intraocular pressure

Explanation: Ans. C i.e. Raised eye pressure Phthisis bulbi It is a shrunken, non-functional eye. It may result from severe eye disease, inflammation, injury, or it may represent a complication of eye surgery. Treatment options include insertion of a prosthesis, which may be preceded by enucleation of the eye.